Rough endoplasmic reticulum is site of synthesis for
1. Protein
2. Cholesterol
3. Carbohydrate
4. Fat

Correct answer: 1. Protein

Explanation: Ans. is 'a' i.e. Protein Rough endoplasmic reticulum is concerned withProtein synthesis*Initial folding of the polypeptide chains with the formation of disulfide bondsSmooth endoplasmic reticulum is concerned withSteroid synthesis*Detoxification processesAs sarcoplasmic reticulum plays important role in skeletal and cardiac muscle contraction *